Which of the following tooth can show any of the eight types of Vertucci’s classiﬁcation?
1. Lower 1st premolar
2. Upper 1st premolar
3. Lower 2nd premolar
4. Upper 2nd premolar

Correct answer: 4. Upper 2nd premolar

Explanation: Maxillary 2nd premolar can show any of the eight types of Vertucci's classiﬁcation.